Fibres passing through crus-cerebri are :
1. Corticonuclear and Corticospinal fibres
2. Medial liminiscus
3. Spinothalamic
4. All

Correct answer: 1. Corticonuclear and Corticospinal fibres

Explanation: A i.e. Corticonuclear and Corticospinal fibres